Least MAC is of which inhalational agent-
1. Xenon
2. Halothane
3. Sevoflurane
4. Isoflurane

Correct answer: 2. Halothane

Explanation: Ans. is 'b' i.e., Halothane [Ref: Ajay Yadav 4th/e p. 591 Agent MAC (%) Ether 1.9 Halothane 0.75 Enflurane 1.68 Isoflurane Desflurane 6.0 Sevoflurane 2.0 Nitrous oxide 105 "Xenon has MAC of 71%" -- Morgan Methoxyflurone (MAC= 0.16%) > Trilene (0.2%) > Halothane (0.74%) > Chloroform (0.8%) > Isoflurane (1.15%)> Enflurane (1.68%) > Ether (1.92%) > Sevoflurane (2.0%) > Desflurane (6.0%) > Cyclopropane (9.2%) > N20 (104%).